Which of the following immunoglobulin crosses placenta:
1. IgA
2. IgM
3. IgG
4. IgD

Correct answer: 3. IgG

Explanation: Ans. C: IgG IgG is the only maternal immunoglobulin that is normally transported across the placenta and provides natural passive immunity to the newborn